Most important HLA for organ transplantation and tissue typing:-
1. HLA-A
2. HLA-B
3. HLA-C
4. HLA-D

Correct answer: 4. HLA-D

Explanation: Most important HLA for organ transplantation and tissue typing is HLA-D. HLA matching has a relatively small but definite beneficial effect on renal allograft survival (HLA-DR > HLA-B > HLA- A) HLA MATCHING HLA antigens Are the MC cause of graft rejectionQ Anti-HLA antibodies may cause Hyperacute rejectionQ In the case of liver transplants, HLA matching does not confer an advantageQ